A 9 year old girl was admited for dialysis. On laboratory examination her potassium levels were 7.8 mEq/L. Which of the following would quickly lower her increased potassium levels -
1. IV calcium gluconate
2. IV Glucose and insulin
3. Oral kayexalate in sorbitol
4. IV NaHCO3

Correct answer: 2. IV Glucose and insulin